A 38 year old woman with a history of multiple sexual partners is most at risk for which of the following?
1. Bladder carcinoma
2. Cervical carcinoma
3. Endometrial carcinoma
4. Ovarian carcinoma

Correct answer: 2. Cervical carcinoma

Explanation: In a sense, cervical carcinoma can be considered a "sexually transmitted disease," since human papilloma virus (typically strains HPV-16 or HPV- 18) is transmitted venereally. In our culture, HPV-related dysplasia of the cervix is common, even in the 18-28 year old group, and carcinomas of the cervix (more rare now than in the past due to screening and aggressive therapy of dysplasia) can occur in the 35-45 age group. The other cancers listed typically occur in older age groups and are not as clearly related to venereal agents. Ref: Hoffman B.L., Schorge J.O., Schaffer J.I., Halvorson L.M., Bradshaw K.D., Cunningham F.G., Calver L.E. (2012). Chapter 30. Cervical Cancer. In B.L. Hoffman, J.O. Schorge, J.I. Schaffer, L.M. Halvorson, K.D. Bradshaw, F.G. Cunningham, L.E. Calver (Eds), Williams Gynecology, 2e.